Mucinous cystadenoma of the ovary arises
1. From cystic teratoma
2. From surface coelomic epithelium
3. From sex cord stomal cells
4. From ectopic mucin secreting glands

Correct answer: 2. From surface coelomic epithelium

Explanation: Ans. is 'b' i.e., From surface coelomic epithelium